A patient is unable to move eye outward beyond midline . The lesion is in
1. Trochlear nerve
2. Obturator nerve
3. Abducent nerve
4. None

Correct answer: 3. Abducent nerve

Explanation: The abducens nerve (CNVI) originates in the pons, thus travelling farther to its destination (the lateral rectus muscle) than the others. Perhaps because of this, isolated lesions of CNVI, manifested by ipsilateral loss of lateral gaze (and inward deviation or esotropia at rest), are more common than of the others. The median longitudinal fasciculus links these nuclei, enabling coordination of the three nuclei. Influencing the nuclei are widespread, higher (supranuclear) systems. ref - pubmed.com